Hyaline cartilage is found in all ; except
1. Costal Cartilage
2. Thyroid Cartilage
3. Foetal Skeleton
4. External Ear

Correct answer: 4. External Ear

Explanation: Locations of hyaline cartilages are 
→ Costal cartilages
→ Most of the synovial joints 
→ Thyroid, cricoid and arytenoids 
→ Wall of trachea 
→ Large bronchi
→ Nasal septum, lateral part of nose 
→ Epiphyseal plate 
→ Foetal skeleton